According to Scott, pacemaker for the growth of entire naso-maxillary complex is:
1. Nasal septal cartilage
2. Mandibular condyle
3. Symphysis menti
4. None of the above

Correct answer: 1. Nasal septal cartilage